Gland of Zeis which open into follicles of eyelashes are:
1. Modified sebaceous glands
2. Modified sweat glands
3. Modified lacrimal glands
4. Modified meibomian glands

Correct answer: 1. Modified sebaceous glands

Explanation: Gland of Zeis are modified sebaceous glands which open into follicles of eyelashes. Gland of Moll are modified sweat glands which open into hair follicles. Meibomian glands are modified sebaceous glands, about 20-30 in each lid. Ref: Review of Ophthalmology A.K.Khurana, 5th Ed, page 9-10